Innervation of lower one third of vaginal is ?
1. Pudendal nerve
2. Pelvic splanchnic nerve
3. Lumbar splanchnic nerve
4. Hypogastric nerve

Correct answer: 1. Pudendal nerve

Explanation: The lower one-third of the vagina is pain sensitive and is supplied by the pudendal nerve through the inferior rectal and posterior labial branches of the perineal nerve. The upper two-thirds of the vagina are pain insensitive and are supplied by sympathetic L7, L2 and parasympathetic segments 52 to 54. Nerves are derived from the inferior hypogastric and uterovaginal plexuses. Sympathetic nerves are vasoconstrictor and parasympathetic nerves vasodilator. The fibres which accompany the vaginal arteries form the vaginal nerves. ref - BDC 6e vol2 pg394